Maximum risk of pancreatitis is present with
1. Didanosine
2. Lamivudine
3. Zidovudine
4. Abacavir

Correct answer: 1. Didanosine

Explanation: All NRTIs can cause pancreatitis and peripheral neuropathy Maximum risk of pancreatitis is associated with dilation didanosine and maximum incidence of peripheral neuropathy is seen with stavudine Lamivudine is safest NRTI as has minimum risk of pancreatitis and peripheral neuropathy Refer Katzung 11/e p858